The most common site of cerebral infarction is in the territory of:
1. Anterior cerebral artery
2. Middle cerebral artery
3. Posterior cerebral artery
4. Posterior inferior cerebellar artery

Correct answer: 2. Middle cerebral artery

Explanation: MCA is the largest cerebral artery and is the vessel most commonly affected by the CVA. It supplies most of the outer convex brain surface, nearly all the basal ganglia and the posterior and anterior internal capsules.